Selenium sulphide is indicated for treating
1. Tinea versicolor
2. Tinea corporis
3. Mixed mycotic infections
4. Candidiasis only

Correct answer: 1. Tinea versicolor

Explanation: Tinea Versicolor - antifungal can be used in localised lesions or shampoos containing ketoconazole, selenium sulphide, fluconazole can be used for extensive truncal lesions for 2 to 3 weeks. Reference: Textbook of Microbiology; Baveja; 4th edition .